All are true about propionibacterium acne except
1. Normal flora of skin
2. Gram negative
3. Can be found in GIT
4. Causes acne vulgaris

Correct answer: 2. Gram negative

Explanation: Propionibacterium acnes (P. acnes) * Gram +ve anaerobic rod, resident flora in follicle but acne patients with higher concentration * Naturally produces porphyrins (coproporphyrin III), which is the target of light-based acne therapy * Secretes lipases which cleave lipids in sebum into pro-inflammatory free fatty acids (FFAs), which are both comedogenic and chemotactic * Binds/activate toll-like receptor 2 (TLR2) * Causes Acne vulgaris. Ref:- Sima Jain; pg num:- 96